Vestibulocerebellar tract terminates in the... of cerebellum?
1. Flocculus
2. Nodulus
3. Uvula
4. All

Correct answer: 4. All

Explanation: A. i.e. Flocculus; B i.e. Nodules; C i.e. Uvula- Middle Cerebellar Peduncle transmits ponto cerebellarQ (afferent) tract; it has no efferent tract. Anterior spinocerebellar tract is in superior crebellar peduncle, whereas, posterior spinocerebellar tract is in inferior peduncle.Q (Mn- Anterior in Superior and Posterior in Inferior").Vestibulo cerebellar (mossy) fibers arise from vestibular nerve/ganglion (1deg) and nucleus (2deg fibers). These fibers terminate in granular layer of nodule, uvula, vermis (ipsilaterally = 1deg) and flocculus (all bilaterally = 2deg)